A sixteen–year–old girl is found to have paroxysmal attacks of rapid heart rate. The antiarrhythmic of choice in most cases of acute AV nodal tachycardia is:
1. Adenosine
2. Amiodarone
3. Propranolol
4. Quinidine

Correct answer: 1. Adenosine